Centrally acting muscle relaxant with α2 - adrenergic agonist activity is
1. Chlorzoxazone
2. Baclofen
3. Tizanidine
4. Pirenzepine

Correct answer: 3. Tizanidine

Explanation: Tizanidine is a centrally acting muscle relaxant with α2 - adrenergic activity, but unlike clonidine it has no effect on blood pressure.